Which antihypertensive is a prodrug and is converted to its active form in brain?
1. Clonidine
2. Methyl dopa
3. Minoxidil
4. Nitroprusside

Correct answer: 2. Methyl dopa

Explanation: Both methyldopa and minoxidil are prodrugs. Conversion of methyl dopa to a-methylnorepinephrine takes palce in the brain. Minoxidil is activated to minoxidil sulphate (by phase II reaction) in the periphery.